CANCA is associated with ?
1. Wegener's granulomatosis
2. Microscopic polyangitis
3. Chrug strauss syndrome
4. Good pasture syndrome

Correct answer: 1. Wegener's granulomatosis

Explanation: Ans. is 'a' i.e., Wegener's granulomatosis